Which of the following components of Moro's reflex is the earliest to appear?
1. Opening of hands
2. Abduction of upper limbs
3. Adduction of upper limbs
4. Movement of trunk

Correct answer: 1. Opening of hands

Explanation: Moro's reflex: Component of Moro's reflex Gestational age of appearance Opening of hands 28 weeks Extension & abduction of upper limbs 32 weeks Anterior flexion of upper limbs 37 weeks